Acute HIV infection is associated with -
1. A glandular fever like illness
2. Generalised lymphadenopathy
3. Gonococcal septicemia
4. Sinus disease

Correct answer: 1. A glandular fever like illness

Explanation: Acute HIV infection- within 3 to 6 weeks of infection with HIV about 50 percent of persons experience low grade fever ,malaise,headache and somettimes witg rash and arthropathy ressembling glandular fever. REF:ANANTHANARAYAN AND PANIKER'S TEXTBOOK OF MICROBIOLOGY 9TH EDITION PAGE NO:575